To obtain best long term result, which of the
following procedures for augmentation genioplasty is recommended:
1. On lay bone graft
2. Injection of silastic gel
3. Insertion of silastic rubber implant
4. Pedicled horizontal sliding osteotomy

Correct answer: 4. Pedicled horizontal sliding osteotomy